Most vascular zone of the bone is
1. Metaphysis
2. Diaphysis
3. Epiphysis
4. Medullary Cavity

Correct answer: 1. Metaphysis

Explanation: Metaphysis is the most vascular zone of the bone especially in children as it has long hairpin loop arranged arterioles and venules running through it.(Refer: Mohindra's Fundamentals of Orthopedics, 2nd edition, pg no. 9)